Rubeola refers to
1. German measles
2. Measles
3. Small pox
4. Chicken pox

Correct answer: 2. Measles